Which is FALSE regarding Anganwadi worker:
1. Part time worker
2. Undergoes 4 month training
3. 1 for 1000 children
4. Selected from the community itself

Correct answer: 3. 1 for 1000 children

Explanation: Ans: C i.e. 1 for 1000 children Anganwadi worker The Anganwadi system is mainly managed by the Anganwadi worker. She is a health worker chosen from the community and given 4 months training in health, nutrition and child-care. She is in charge of an Anganwadi which covers a population of 1000. About 10 Anganwadi workers are supervised by a Supervisor called Mukhyasevika. 4 Mukhyasevikas are headed by a Child Development Projects Officer (CDPO).